Virchow's triad includes all of the following except
1. Venous stasis
2. Endothelial injury to veins
3. Blood Hypercoagulability
4. Venous thrombosis

Correct answer: 4. Venous thrombosis

Explanation: (D) Venous thrombosis # Virchow's triad refers to three primary influences that predispose to thrombus formation.> This triad should be the cornerstone for the assessment of risk factors for deep venous thrombosis. This includes Endothelial injury Stasis or turbulence of blood flow Blood hypercoagulability> These factors may act independently or they may combine to cause thrombus formation.> Note that endothelial integrity is the single most important factor. Injury to endotlielial cells can affect local blood flow or coagula bility# Some important Points on DVT: Homan's sign - Caif tenderness on forced ankle dorsiflexion. Phlegmasia alba do lens - Painful white leg Phlegmasia cerulea dolens - Painful blue leg Moses Sign - Calf tenderness on direct pressure on the calf. Pratt's Sign - Calf tenderness on squeezing the calf from the sides.> Duplex ultasound is the diagnostic modality of choice in deep vein thrombosis.